Best diagnostic test for fungal skin infection -
1. KOH test
2. Diascopy
3. Wood's lamp
4. Patch test

Correct answer: 1. KOH test

Explanation: KOH test is the best test for diagnosis of fugal infection as it is simple , inexpensive quick and sensitive test. Samples can be taken depending on the site of infection. Koh will digest proteins lipids and epithelial debris, fungal elements resist treatment because of chitin fungal elements are identified as translucent nonpigmented septate myceliaor as ahrospores. candidiasis budding oval yeast with pseudohyphae pityriasis versicolor as sphagetti and meat ball appearance. iadvl textbook of dermatology page 273